In a Right handed person, left parietal lobe injury may he associated with all of the following except.
1. Aphasia
2. Acalculia
3. Urinary incontinence
4. Inferior quadrantic Anopsia

Correct answer: 3. Urinary incontinence

Explanation: Answer is C (Urinary incontinence): Urinal:3rdincontinence is a feature of frontal lobe lesion and not parietal lobe lesion. Aphasia, Acakulia and Inferior quadrantic anopsia are all features of dominant (left) parietal lobe injury. Unilateral Parietal Lobe Contralateral hemisensory loss Astereognosis Agraphaesthesia Contralateral homonymous Lower quadrantanopia Asymmetry of optokinetic Nystagmus (OKN) Sensory Seizures Mild hemiparesis Dominant Hemisphere Dysphasia/Aphasia Dyscalculia Dyslexia Apraxia (Bilateral Apraxia) Agnosia (Textile Agnosia) Gerstmann Syndrome Non Dominant Hemisphere Neglect of contralateral side (Hemineglect) Extinction phenomenon (contralateral) Spatial disorientation Constructional apraxia Dressing apraxia Anosagnosia